Primary bile acid secreted by liver is ?
1. Chenodeoxycholic acid
2. Lithocholic acid
3. Deoxycholic acid
4. Lithodeoxycholate

Correct answer: 1. Chenodeoxycholic acid

Explanation: Ans. is 'a' i.e., Chenodeoxycholic acid The primary bile acids are produced from cholesterol in liver. These are cholic acid and chenodexycholic acid. These are conjugated with glycine or taurine. So primary bile acids are glycocholic acid, glycochenodeoxycholic acid, taurocholic acid, and taurochenodeoxycholic acid. The primary bile acids are secreted in bile and in the lower parts of small intestine, primary bile acids are converted to secondary bile acids by bacterial enzymes. Secondary bile acids are deoxycholic acid and lithocholic acid.